The time interval between the invasion of the infectious agent and the appearance of the first sign or symptom
1. Serial interval
2. Quarantine
3. Incubation period
4. Period of infectivity

Correct answer: 3. Incubation period

Explanation: An infection becomes apparent only after a certain incubation period which is defined as the time interval between invasion by an epidemiological agent and the appearance of first sign or symptoms. During incubation period the infectious agent undergoes multiplication in the host.